Lymphatic drainage of upper outer quadrant of breast ?
1. Anterior axillary
2. Posterior axillary
3. Paratracheal
4. None of the above

Correct answer: 1. Anterior axillary

Explanation: Ans. is 'a' i.e., Anterior axillary Most lymph, especially that from the superior lateral quadrant and center of breast, drains into the axillary lymph nodes, which, in turn, are drained by the subclavian lymphatic trunk. Among the axillary nodes, the lymphatics end mostly in the anterior groups and partly the posterior and apical groups. Lymph from the anterior and posterior groups passes to the central and lateral groups, and through them to the apical (terminal) groups. Finally it reaches the supraclavicular nodes. The lymph vessels of the breast are arranged into two groups :? Superficial lymphatics : Drain skin of the breast. Deep lymphatics : Drain parenchyma of breast along with nipple and areola :? 75% is drained into axillary nodes (mostly into anterior axillary). 20% is drained into internal mammary lymph nodes. 5% is drained into posterior intercostal lymph nodes.